The most common site of Berry aneurysm is:
1. Junction of anterior communication artery with anterior cerebral artery
2. Junction of posterior communicating artery with internal carotid artery
3. Bifurcation of middle cerebral artery
4. Vertebral artery

Correct answer: 1. Junction of anterior communication artery with anterior cerebral artery

Explanation: Occurence of Berry aneurysm in order of frequency Anterior communicating artery anterior cerebral junction (29%) Posterior communicating artery internal carotid junction (28%) Middle cerebral bifurcation (18%) Intracranial carotid bifurcation (8%) Vertebrobasilar or basilar bifurcation (3%)